Macula lutea of the retina lies from the optic disc at a distance of:
1. 1 mm
2. 2 mm
3. 3 mm
4. 4 mm

Correct answer: 3. 3 mm

Explanation: The macula lutea is an area of the retina approximately 5.5 mm in diameter that is rich in cones, situated about 2 disc diameters (DD) temporal to the optic disc (1 DD= 1.5 mm). That is totally 3mm. The central 1.5 mm of the macula is termed the fovea, which has a small central depression approximately 0.35 mm in diameter called the foveola. The vision is most acute at the foveola, where only cones are found; each cone directly relays to a single ganglion cell. Ref: Parsons' Diseases of the Eye By Ramanjit Sihota & Radhika Tandon, 21st edition, Page 302.